Targeted intervention programmes for HIV are done among the following group of people, EXCEPT:
1. Commercial sex worker
2. Migrant laborers
3. Street children
4. Industrial worker

Correct answer: 4. Industrial worker

Explanation: The basic purpose of the targeted interventions for HIV is to reduce the rate of transmission of HIV among the most vulnerable population such as, Sex workers Intravenous drug users Homosexual men Truckers Migrant laborers Street children The main activities under these intervention projects are behaviour change, communication, treatment for STDs and creating an enabling environment that will facilitate behaviour change. Ref: Park's Textbook of Preventive and Social Medicine, 19th edition, Page 359.